The Study of postmortem process of a dead body and their interpretation is
1. Thanatology
2. Putrefaction
3. Taphonomy
4. Entomology

Correct answer: 3. Taphonomy

Explanation: Forensic taphonomy is the interdisciplinary study and interpretation of postmortem processes of human remains. Thanatology is the study that deals with death in all its aspects. Entomology is the study of the form and behaviour of insects. Myiasis is a condition caused by infestation of the body by fly maggots. Putrefaction is the process of gradual dissolution and liquefaction of the tissues.